Which of the following Autism spectrum disorders has normal IQ and language skills?
1. Rett's syndrome
2. Asperger's syndrome
3. Heller's syndrome
4. Munchausen syndrome

Correct answer: 2. Asperger's syndrome

Explanation: Asperger's syndrome does not have any language disturbances & intellectual disability.